Daily depressed mood for minimum ________ weeks is must to classify someone as suffering from major depression disease -
1. 1
2. 2
3. 3
4. 4

Correct answer: 2. 2

Explanation: Symptoms of depression should be present for at least 2 weeks.